Which is true regarding IL-1?
1. Mainly derived from neutrophils
2. Produces necrosis of tumor cells
3. Increases expression of MHC coded proteins
4. Upregulates adhesion molecules

Correct answer: 4. Upregulates adhesion molecules

Explanation: Produced by tissue macrophages, monocytes, fibroblasts and dendritic cells and also expressed by B cells, lymphocytes, NK cells and epithelial cells Increases the expression of adhesion factors on endothelial cells to enable transmigration Causes fever, hyperalgesia, vasodilation and hypotension